Which of the following families of glycoproteins plays the most important role in regulating the migration and differentiation of leukocytes and connective tissue cells during wound healing in a 34-year-old woman who has a benign nevus removed from her back under local anesthesia ?
1. Cadherins
2. Fibrillins
3. Integrins
4. Laminins

Correct answer: 3. Integrins

Explanation: The locomotion of leukocytes is powered by membrane extensions called lamellipodia. Slower moving cells, such as fibroblasts, extend fingerlike membrane protrusions called filopodia. The leading edge of the cell membrane adheres to the extracellular matrix through transmembrane adhesion receptors termed integrins -Cadherins (choice A) are cell-cell adhesion molecules. -Fibrillins (choice B) are structural molecules that interact with elastic fibrils. -Laminins (choice D) are basement membrane glycoproteins. Diagnosis: Wound healing